In moderate severity obstructive lung disease, the expected abnormalities include the following except-
1. (upward arrow) Residual capacity
2. (downward arrow) Vital capacity
3. (downward arrow)FRC/TLC ratio
4. FEV1/ IFVC<70%

Correct answer: 3. (downward arrow)FRC/TLC ratio

Explanation: In moderately severe obstructive lung diseases,FEV1/FVC ratio will be less than 0.7 and FEV1 will be 50-80% predicted.TLC will be increased,FRC is more severely elevated due to loss of lung elastic recoil & dynamic hyperinflation.RV is very severely elevated due to airway closure.Vital capacity will be decreased.So FRC/TLC will be increased in obstructive lung diseases. Reference:Harrison's Medicine-20TH edition